Neutrophil count below which there is increased risk of nosocomial invasive pulmonary aspergillosis -
1. < 4000/4
2. < 3000/4
3. < 2000/4
4. < 1000-500/RL

Correct answer: 4. < 1000-500/RL

Explanation: Ans. is 'd' i.e., < 1000-500/RL Invasive aspergillosis is a severe respiratory infection with a mortality rate of over 90% in neutropenic patients.It is most often encountered in patients with absolute neutrophil counts of <500/4 from leukemia or chemotherapy.Patients undergoing bone marrow transplantation are susceptible to a greater extent than patients with heart, kidney, or liver transplants.